Tidal volume in adult is:
1. 125 ml
2. 500 ml
3. 1500 ml
4. 2200 ml

Correct answer: 2. 500 ml

Explanation: The amount of air breathed in and out of lungs in a single quiet respiration is called Tidal volume. The normal value is 500 ml.